Anaclitic depression is
1. Depression on top of dysthymia
2. Depression with increased sleep & increased appetite
3. Depression in child deprived of care taker
4. Depression with seasonal pattern

Correct answer: 3. Depression in child deprived of care taker